"Nikshay" is a newly launched central government software. It is used for tracking:
1. Tuberculosis
2. High-risk pregnancies
3. High-risk newborns
4. Malaria

Correct answer: 1. Tuberculosis

Explanation: Ans. a. Tuberculosis (Ref: Park 23/e p429; www.nhp.gov.in)"Nikshay" is newly launched central government software. It is used for tracking tuberculosis."NIKSHAY, the web based reporting for monitoring RNTEP has been a notable achievement initiated in 2012. It has enabled capture and transfer of individual patient data from the remotest health institutions of the country."Revised National Tuberculosis Control Programme: New Initiatives1. The RNTCP has completed the feasibility study of introducing GeneXpert in RNTCP in 18 tuberculosis units in 12 states. RNTCP is currently using CB NAAT for the diagnosis of tuberculosis and MDT-TB in high-risk population like HIV positive and pediatric groups.Cartridge based nucleic acid amplification test (CBNAAT): The second generation NAAT-based TB diagnostics offer the prospect of very high sensitivity , approaching that of liquid culture-the gold standard for TB diagnosis.2. Nikshay: TB surveillance using case based, web based IT systemCentral TB division in collaboration with National Informatics Centre has undertaken the initiative to develop a case based web based application Nikshay. This software was launched in May 2012 and has following functional components:- TB patient registration and details of diagnosis, DOTS provider, HIV status, follow-up, contact tracing, outcomes.- Details of solid and liquid culture and DST, LPA. CBNAAT details- Referral & transfer of patients- Private health facility registration and TB notification- Mobile application for TB notification- SMS alerts to patients on registration- SMS alerts to programme officers- Automated periodic reports: Case finding, sputum conversion, treatment outcome3. TB Notification:- In order to ensure proper diagnosis and management of TB cases, and to reduce TB transmission and the emergence and spread of MDR-TB, it is essential to have complete information of all TB cases.- According to Government of India notification dated 7th May 2012, it is now mandatory for all healthcare providers to notify every TB case to local authorities every month in a given format.4. Ban on TB Serology:- The serological tests are based on antibody response, which is highly variable in TB and may reflect remote infection rather than active disease.- Currently available serological tests are having poor specificity and should not be used for the diagnosis of pulmonary or extrapulmonary TB.- Their import, manufacturing, sale distribution and uses are banned by Government of India.